Most common site for osteomyelitis in adults
1. Lower end of femur
2. Cervical spine
3. Thoracolumbar spine
4. Upper end of tibia

Correct answer: 3. Thoracolumbar spine